The psychiatric disorder most commonly associated with myxedema:
1. Depression
2. Mania
3. Phobia
4. Psychosis

Correct answer: 1. Depression

Explanation: The most common psychiatric disorder associated with hypothyroidism is cognitive slowing followed by depression.